Method of choice for purification of highly polluted water on a large scale is
1. Boiling
2. Super chlorination followed by dechlorination
3. Chlorination
4. Ultraviolet light treatment

Correct answer: 2. Super chlorination followed by dechlorination